The strain that occurs when a material is stressed to its proportional limit is:
1. Resilience
2. Maximum flexibility
3. Toughness
4. Elastic limit

Correct answer: 2. Maximum flexibility